Osgood schlatter disease is osteochondritis of -
1. Tibial tuberosisty
2. Lunate
3. Calcaneum
4. Navicular

Correct answer: 1. Tibial tuberosisty

Explanation: Ans. is 'a' i.e., Tibial tuberosity' Kienbock's disease is osteochondritis of LunateNameSite affectedo Perthes's diseaseo Panner's diseaseo Kienbock's diseaseo Osgood Sh latter's diseaseo Sever's diseaseo Kohler's diseaseo Scheurmann's diseaseo Calve's diseaseo Frieberg's diseaseo Islene diseaseo Johansson-Larson's diseaseo Preiser's diseaseFemoral headCapitulumLunate boneTibial tubercleCalcaneal tuberosityNavicular boneRing epiphysis of vertebraeCentral bony nucleus of vertebral bodyOsteochondritis of 2nd metatarsal head.Osteochondritis of 5th metatarsal headOsteochondritis of lower pole of patella.Spontaneous avascular necrosis of scaphoid.